All of the following fluoroquinolones have been withdrawn Except
1. Trovafloxacin
2. Gatifloxacin
3. Gemifloxacin
4. Grepafloxacin

Correct answer: 3. Gemifloxacin

Explanation: Except for Gemifloxacin, all others have been withdrawnTrovafloxacin due to hepatotoxicityGatifloxacin due to hypo/hyperglycemiaGrepafloxacin due to adverse cardiac events